The test likely to help in diagnosis of a patient who presents with an itchy annular plaque on the face is:
1. Gram's stain
2. Potassium hydroxide mount
3. Tissue smear
4. Wood's lamp examination

Correct answer: 2. Potassium hydroxide mount

Explanation: B i.e. KOH mount Trichophyton rubrum is most common cause of tinea corporis (body), t. cruris, t. pedis, t. manuum & t.unguiumQ. Diagnosis is made by KOH wet mount.